Oral anticoagulant causes all except:
1. Interference with synthesis of vitamin K dependent clotting factors
2. Anticoagulant effect both in vivo and in vitro
3. Hematuria
4. Internal haemorrhage2

Correct answer: 2. Anticoagulant effect both in vivo and in vitro

Explanation: Ans: B i.e. Anticaogulant effect both in vivo and in vitro Anticoagulant Warfarin and its congeners act as antiocagulants only in vivo, not in vitro. This is so because they act indirectly by interfering with the synthesis of vitamin K dependent clotting factors in liver. Bleeding is the most important problem with anticoagulants; ecchymosis, epistaxis, hematuria, bleeding in gastrointestinal tract. Intracranial or other internal haemorrhages may be fatal.